True about duodenal adenocarcinoma -a) Commonest small intestinal tumorb) Arises from periampullary regionc) Jaundice & anaemia foundd) 5 yr survival is 5%e) Surgery is only curative
1. ab
2. bc
3. acd
4. bce

Correct answer: 4. bce